All are used in the treatment of hot flushes except:
1. Tamoxifen
2. Venlafaxine
3. Gabapentin
4. Clonidine

Correct answer: 1. Tamoxifen